For an epidemiological study, every 10th person is selected from a population. This type of sampling is known as:
1. Simple random sampling
2. Statified random sampling
3. Systemic random sampling
4. Cluster random sampling

Correct answer: 3. Systemic random sampling